The following structure does not pass through flexor retinaculurn
1. Ulnar N.
2. Median N.
3. Flexor digitorum profundus
4. Flexor digitorum superficialis

Correct answer: 1. Ulnar N.

Explanation: Ulnar nerve Flexor retinaculum (F.R.)Is a thickening of deep fascia which bridges the ant. concavity of the carpus and converts it into an osteofascial tunnel, the carpal tunnel.Structures passing beneath the flexor retinaculum from medial to lateral are:Flexor digitorum superficialis tendon & post. to these flexor digitorum profundus tendonsMedian N.Flexor pollicis longusFlexor carpi radialis